"Going white overnight," is feature of:
1. Vitiligo
2. Alopecia areata
3. Anagen effluvium
4. Albinism

Correct answer: 2. Alopecia areata

Explanation: Ans. b. Alopecia areataAlopecia areata typically spares white or grey hair.Hence, if alopecia areata progresses rapidly; it will lead to this phenomenon called "going white overnight" as in a person with a mixture of grey and pigmented hair only grey hair is spared.